Metabolic disease in which intestinal obstruction is seen?
1. Hereditary fructose intolerance
2. Phenylketonuria
3. Hurler disease
4. Cystic fibrosis

Correct answer: 4. Cystic fibrosis

Explanation: d. Cystic fibrosis(Ref: Nelson 20/e p 2098)In cystic fibrosis, neonates may present with meconium ileus, meconium plug & meconium peritonitis, while infants may present with distal intestinal obstruction syndrome.